Gun stock deformity is seen in?
1. Supracondylar fracture humerus
2. Lateral condylar fracture of humerus
3. Medial condylar fracture of humerus
4. All above

Correct answer: 1. Supracondylar fracture humerus

Explanation: ANSWER: (A) Supracondylar fracture humerusREF: Apley's 8th ed p. 596Most common complication in supracondylar fracturemalunionMost common deformity produced in supracondylar fractureGunstock or cubitus varusDeformity managed byFrench osteotomy